Which of the following is associated with nasopharyngeal cancer?
1. HHV 1
2. HHV 2
3. HHV 3
4. HHV 4

Correct answer: 4. HHV 4

Explanation: HHV 4 or Epstein Barr virus can cause nasopharyngeal carcinoma.